Normal Glucose level in CerebroSpinal Fluid (CSF) is
1. Glucose is not present in CSF
2. 40 -- 70 mg/dL
3. 80-- 120 mg/dL
4. 120-- 180 mg/dL

Correct answer: 2. 40 -- 70 mg/dL

Explanation: (B) 40-70 mg/dL REFERENCE VALUES FOR SPECIFIC ANALYTESCerebrospinal FluidReference RangeConstituentSI UnitsConventional UnitsOsmolarity292-297 mmol/kg water292-297 mOsm/LElectrolytesSodium137-145 mmol/L137-145 meq/LPotassium2.7-3.9 mmol/L2.7-3.9 meq/LCalcium1.0-1.5 mmol/L2.1-3.0 meq/LMagnesium1.0-1.2 mmol/L2.0-2.5 meq/LChloride116-122 mmol/L116-122 meq/LC02 content20-24 mmol/L20-24 meq/LPC026-7 kPa45--49 mmHgpH7.31-7.34 Glucose2.22-3.89 mmol/L40-70 mg/dLLactate1-2 mmol/L10-20 mg/dLTotal protein:Lumbar0.15-0.5 g/L15-50 mg/dLCisternal0.15-0.25 g/L15-25 mg/dLVentricular0.06-0.15 g/L6-15 mg/dLAlbumin0.066-0.442 g/L6.6-44.2 mg/dLIgG0.009-0.057 g/L0.9--5.7 mg/dLIgG index0.29-0.59 Oligoclonal bands (OGB)<2 bands not present in matched serum sample Ammonia15-47 pmol/L25-80 pg/dLCreatinine44-168 pmol/L0.5-1.9 mg/dLMyelin basic protein<4 mg/L CSF pressure 50-180 mmH2OCSF volume (adult)~150 mL Red blood cells00LeukocytesTotal0-5 mononuclear cells per L DifferentialLymphocytes60-70% Monocytes30-50% NeutrophilsNone > Normal CSF glucose range is 40-70 mg/dl (2.2-3.9 mmol/1).> Normal CSF glucose concentration is 2/3 of blood glucose concentration. If mean plasma glucose of 100 mg/dI is taken, then CSF glucose is 64 mg/dI, i.e. ratio of CSF glucose: plasma glucose = 0.64 (i.e., 2/3).> Cerebrospinal Fluid Chloride 120-130 mEq/l Glucose 50-75 mg/dl Proteins, total 15-40 mg/dl Albumin 8-30 mg/dl